Waste disposal of placenta is done by
1. Disposing in blue bag
2. Autoclaving
3. Incineration
4. Microwaving

Correct answer: 3. Incineration

Explanation: Placenta is thrown in yellow bag and later it is incinerated.